The fluoride content of fluor protector varnish is:
1. 2.26%
2. 0.70%
3. 2.70%
4. 0.30%

Correct answer: 2. 0.70%